Which of the following is not a method to record centric relation:
1. Static method.
2. Functional method.
3. Tactile method.
4. None.

Correct answer: 4. None.

Explanation: Methods used to record centric relation are

Static
Functional
Graphic
Tactile or interocclusal cheek records